Which is the most common cytogenetic abnormality in adult myelodysplastic syndrome (MDS) -
1. Trisomy 8
2. 20q?
3. 5q?
4. Monosmy 7

Correct answer: 3. 5q?

Explanation: Answer is C (5q-) `Monosomy 7 is by far the most common cytogenetic abnormality in children (pediatric MDS) whereas 5q- is observed most frequent!,' in adults' - Myelodysplastic Syndromes by John Bennett (2002)/300 Cytogenetic Abnormalities in MDS: Facts to Remember Monosomy 7 is the most frequent cytogenetic abnormality in children.Q Deletion 5q (5q) is the most frequent cytogenetic abnormality in adults Q. Trisomy 8 is the most frequent tri.somyQ. Differences between Myelodysplastic Syndromes in children and Adults (`Myelodysplastic Syndromes' 2002/300; 'Childhood Leukemias' 2'"/549) Feature Children Adults * Frequency Less common More common * Presence of sideroblasts Uncommon (<2%) More common (,--25%) * Cytogenetic Abervations -7/7q- Most common (r,30%) Less common (,=-40%) -5/5q- Uncommon (--L-1-2%) Most common (z20%)